Lead absorbed by inhalation in the body is mainly eliminated through:
1. Stool
2. Urine
3. Sweat
4. None of the above

Correct answer: 2. Urine

Explanation: On the other hand, the lead absorbed by the body and incorporated into the blood stream is eliminated by urine (75%), gastrointestinal secretions through the liver (16%) and hairs, nails and sweat (8%). Suckling women may also eliminate lead through their milk in a concentration very similar to the plasma. Ref :